Name the person shown here for "Psychoanalysis"
1. John Weyer
2. Franz Alexander
3. Eugen Bleuler
4. Sigmund Freud

Correct answer: 4. Sigmund Freud

Explanation: (D) Sigmund Freud # Coining the term "Free Association"; Introduction of "Psycho-Analysis"; 'Oedipus-Complex' and the concept of 'Super ego' were given by Sigmund Freud> Father of Modern Psychiatry is John Weyer> Father of Psychosomatic Medicine is Franz Alexander> The term "Ambivalence" was coined by Eugen Bleuler